Structure passing through anterior part of jugular foramen
1. Inferior petrosal sinus
2. Internal jugular vein
3. Accessory meningeal artery
4. X, XI nerve

Correct answer: 1. Inferior petrosal sinus